Morgagni hernia -
1. Hernia between the costal and sternal part of the diaphragm
2. Hernia through the pleuriperitoneal canal
3. Hernia through the lumbar triangle
4. Hernia through inguinal canal

Correct answer: 1. Hernia between the costal and sternal part of the diaphragm